Shortest diameter of foetal skull is
1. Bitemporal
2. Biparital
3. Verticomental
4. Suboccipito bregmatic

Correct answer: 1. Bitemporal

Explanation: Bitemporal